Which hormone does not have corresponding release hormone produced in pituitary?
1. TSH
2. Prolactin
3. ACTH
4. FSH

Correct answer: 2. Prolactin